"Proofreading" is the role of
1. DNA primase
2. DNA Polymerase
3. Exonuclease I
4. Restriction endonuclease

Correct answer: 2. DNA Polymerase

Explanation: "Polymerase II (pol II) is mostly involved in proofreading and DNA repair. Polymerase I (pol I) completes chain synthesis between Okazaki fragments on the lagging strand.